Severe acute malnutrition as per who criteria is __________
1. Weight for height less than median +2 SD
2. Weight for age less than median - 2 SD
3. Weight for age less than median + 3 SD
4. Weight for height less than median - 3 SD

Correct answer: 4. Weight for height less than median - 3 SD

Explanation: * Definition of severe acute malnutrition - severe wasting and/or bilateral edema. * Severe wasting is weight for length (or height) that is below -3SD of the WHO Child Growth Standards. * Diagnosis of bilateral edema - by grasping both feet, placing a thumb on top of each, and pressing gently but firmly for 10 seconds. A pit that stays under each thumb denotes bilateral edema. Management of SAM:- Ref:- Nelson 20th edition; pg num:- 301,302